Agent causing malignant hyperthermia is?
1. Succinylcholine
2. 1120
3. Ether
4. Verapamil

Correct answer: 1. Succinylcholine

Explanation: Succinylcholine REF: Goodman and Gillman p. 152 11th edition "Succinylcholine is the most common drug used in anesthesia to cause Malignant Hyperthermia" MALIGNANT HYPERTHERMIA Malignant hyperthermia is a potentially life-threatening event triggered by certain anesthetics and neuromuscular blocking agents. Clinical features: contracture, rigidity, and heat production from skeletal muscle resulting in severe hyperthermia, accelerated muscle metabolism, metabolic acidosis, and tachycardia. Mechanism: Uncontrolled release of Ca2+ from the sarcoplasmic reticulum of skeletal muscle is the initiating event. Although the halogenated hydrocarbon anesthetics (e.g., halothane, isoflurane, and sevoflurane) and succinylcholine alone reportedly precipitate the response, most incidents arise from the combination of depolarizing blocking agent and anesthetic. Susceptibility to malignant hyperthermia, an autosomal dominant trait Treatment: Intravenous administration of dantrolene (DANTRIUM), which blocks Ca2+release and its sequelae in skeletal muscle. Rapid cooling, inhalation of 100% oxygen, and control of acidosis should be considered adjunct therapy in malignant hyperthermia